True about quinke disease:
1. Bacterial infection
2. Peritonsillar abscess
3. Vocal cord edema
4. Edema of uvula

Correct answer: 4. Edema of uvula

Explanation: Quincke Disease Acute edema of the uvula is called as Quincke's disease. Etiology is unknown; but it is related to (a) Allergy Other causes include (b) Trauma (foreign body, iatrogenic) (c) Infection - Viral pharyngitis - Candidiasis - Syphilis - TB (d) Tumors = Squamous cell carcinoma Clinical features: Trickling or irritating sensation in the throat together with sensation of gagging. Treatment : Edema usually settles down spontaneously. IV hydrocortisone may help. Collection of pus in the peritonsillar space is known as Quinsy and not Quincke. Recurrent edema of uvula with occasional laryngeal edema is seen in hereditary angio neurotic edema (HANE).